HPV-related cervical intraepithelial neoplasia can be diagnosed by the presence of which of the following histologic features?
1. Central, basophilic intranuclear cellular inclusions
2. Cowdry type A intranuclear cellular inclusions
3. Enlarged multinucleated cells
4. Cytoplasmic vacuolization and nuclear enlargement of cells

Correct answer: 4. Cytoplasmic vacuolization and nuclear enlargement of cells

Explanation: Human papilloma viruses (HPV) has one of Histologic feature in the form of cytoplasmic vacuoles and enlargement of Nucleus with hyperchromasia called as Koilocytosis. Altered keratinisation particularly Hyperkeratosis and dyskeratosis is also seen. Cervical intraepithelial Neoplasm (CIN) occurs at the transitional zone. E6 and E7 proteins are involved in CIN pathogenesis. Option 1: Intranuclear basophilic inclusion bodies: Cowdry type B in Adenovirus "Owl's Eye Appearance" in Cytomegalovirus. Option 2: Cowdry type A intranuclear inclusion Bodies: Herpes simplex or varicella zoster viruses. Option 3: Enlarged multinucleated cells are a special class of giant cell formed by the fusion of monocytes/macrophages, associated with foreign bodies (ie, introduced exogenous materials) or tissue response to infection. They also appear in autoimmune, neoplastic, and genetic disorders.